Which of the following anaesthetic agents is contraindicated in patients with hypertension ?
1. Ketamine
2. Propofol
3. Etomidate
4. Diazepam

Correct answer: 1. Ketamine

Explanation: Ketamine increases BP, HR & myocardial O2 demand, therefore it is contraindicated in IHD, hypertensive heart disease and aortic aneurysm.